Common features of melanoma, which of the following is not the part of mnemonic ABCDE?
1. Border Irregularity
2. Asymmetric outline
3. Variation in color
4. Diameter < 6 mm

Correct answer: 4. Diameter < 6 mm

Explanation: Malignant Melanoma (Mnemonic ABCDE refers to): A- Asymmetry B- Border irregularity C- Color variation D- Diameter >6mm E- Evolving